Which of the following is true statement for pramipexole:
1. Act on dopamine receptors
2. First line treatment for parkinsonism
3. Not an ergot alkaloid
4. All of the above

Correct answer: 4. All of the above

Explanation: Ans. D. All of the abovePramipexole and ropinirole are dopamine agonist. They non-ergot derivatives which are used as first line treatment in parkinsonism. It is also used in restless leg syndrome.